Drug used in renal osteodystrophy:
1. Vitamin D
2. Calcitriol
3. Calcifediol
4. All of the above

Correct answer: 4. All of the above

Explanation: Ans. (d) All of the aboveRef. Katzung 9th ed. /1028* Vitamin D has been used in treating renal osteodystrophy* In mild forms of malabsorption, vitamin D should suffice to raise serum levels of 25(OH) D into the normal range. Many patients with severe disease do not respond to vitamin D.* Calcitriol and Calcifediol have been used successfully in treatment of renal osteodystrophy and intestinal osteodystrophy.